Thornwaldt's abscess treatment does not include
1. Antibiotics
2. Marsupialization
3. Removal of lining
4. Antihistaminics

Correct answer: 4. Antihistaminics

Explanation: Treatment includes- Antibiotics to treat infection Marsupialization of cystic swelling Adequate removal of its lining membrane Ref: Textbook of ENT, Dhingra; 6th edition; Pg no: 245 ref img